Flying range of Aedes mosquito is:
1. 50 m
2. 100 m
3. 200 m
4. 400 m

Correct answer: 2. 100 m

Explanation: Ans: b (100 m) Ref: Park,19th ed, p. 625Aedes egypti mosquitos usually do not fly over long distances - usually less than 100 meters (110 yards) and this factor facilitates its eradiction.Under the WHO international health regulations (IHR) all international airports and sea ports are kept free from all types of mosquitos for a distance of400 meters around the perimeter of the portsAedes egypti index is kept zero in all ports